The most abundant nucleotide in body is
1. ATP
2. GTP
3. UTP
4. DTP

Correct answer: 1. ATP

Explanation: NUCLEOSIDE TRIPHOSPHATE: Corresponding nucleoside di- and tri-phosphates are formed by esterification of further phosphate groups to the existing ons. Nucleside diphosphate contains one high energy bond and triphosphates have 2 high energy bonds.ATP is the UNIVERSAL ENERGY CURRENCY. It is formed during oxidative processes by trapping the released energy in the high energy phosphate bond. REF :DM VASUDEVAN TEXTBOOK , 7TH EDITION ; Page no :562.